TECOVIRIMAT is recently approved anti-viral drug. It is used for against which virus?
1. Small pox
2. Chicken pox
3. Dengue
4. Influenza

Correct answer: 1. Small pox

Explanation: TECOVIRIMAT: a. Used for treatment of Small pox (In bioterror attacks) b. Orally administered c. Binds to envelop virus P37 and inhibits extracellular viral forms d. Inhibits transmission